Which of these amino acids will migrate slowest to the anode end at the physiological pH
1. Aspartic acid
2. Glycine
3. Lysine
4. Valine

Correct answer: 3. Lysine

Explanation: At physiological pH basic (positively charged) amino acids will move slowest towards anode.
Basic amino acids are arginine, lysine, histidine.